Achondroplasia shows which of the following type of inheritance?
1. Autosomal dominant
2. Autosomal recessive
3. X linked dominant
4. X linked recessive

Correct answer: 1. Autosomal dominant

Explanation: Autosomal dominant : von villebrands , adult pkd , myotonic dystrophy , tuberous sclerosis, huntingtons disease , osteosclerosis Autosomal recessive:- cystic fibrosis , congenital deafness , PKU, spinal muscular dystrophy X LINKED dominant :- Xg group , vit D resistant rickets , incontinentia pigmentia X Linked recessive red green colour blindness , fragile X syndrome , Duchenne muscular dystrophy , hemophilia Y linked :- swyer syndrome